March fracture involves
1. 1st metacarpal
2. 1st metatarsal
3. 2nd metacarpal
4. 2nd metatarsal

Correct answer: 4. 2nd metatarsal

Explanation: March fracture is fatigue (Stress) fracture of metatarsalsThis fracture is often encountered in military personnel; who indulge in frequent and prolonged marching and hence the nameIt is also encountered in police officers, dancers, nurses, and surgeons, who required standing or dancing for long durationThe fracture usually affects the shaft or neck of the second and third metatarsal bone(Refer: Mohindra's Fundamentals of Orthopedics, 2nd edition, pg no. 161, 496, 515)